Carbonic anhydrase in the kidney tubular cells is known to be associated with:
1. Urea
2. Chloride
3. Bicarbonate ion
4. Carbohydrate

Correct answer: 3. Bicarbonate ion